Which of the following is an oxytocin antagonist?
1. Ritodrine
2. Atosiban
3. Isoxsuprine
4. Methergine

Correct answer: 2. Atosiban

Explanation: AtosibanREF: Danforth's Obstetrics and Gynecology 10th Edition page 175-178, http://en.wikipedia.org/ wiki/Tocolytic See APPENDIX-64 for "TOCOLYTIC AGENTS"